A patient presents with foreign body sensation in eye and swollen knee joint after a leisure trip. Which of the following is the most probable diagnosis?
1. SLE
2. Sarcoidosis
3. Reiter's disease
4. Behcet's disease

Correct answer: 3. Reiter's disease

Explanation: As the patient in the question has developed arthritis following a recent travel, it could be a reactive arthritis secondary to organisms endemic in the zone of travel. Along with this, patient is showing features of conjunctivitis indicating a diagnosis of Reiter's syndrome. Reactive arthritis (Reiter's syndrome) consists of conjunctivitis, urethritis (or cervicitis in female patients), arthritis, and characteristic mucocutaneous lesions. Ref: Harrison's Internal Medicine, 18th Edition, Chapter 176